Neuritic plaques are associated with which of the following disease?
1. Alzheimer's disease
2. Multiple sclerosis
3. Stroke
4. None of the above

Correct answer: 1. Alzheimer's disease

Explanation: Neuritic plaques are associated with Alzheimer's disease. Neuritic plaques range in size from 20 to 200 mm in diameter; microglial cells and reactive astrocytes are present at their periphery. Plaques are found in the hippocampus, amygdala, and neocortex, although there is usually relative sparing of primary motor and sensory cortices (this also applies to neurofibrillary tangles). The amyloid core, which can be stained by Congo Red, contains several abnormal proteins. The dominant component of the amyloid plaque core is Ab, a peptide derived through specific processing events from a larger molecule, amyloid precursor protein (APP). Ref: Robbins 8th edition Chapter 28.